Kerley B lines are due to
1. Carcinoma bronchus
2. Pulmonary edema
3. Lung abscess
4. Pulmonary embolism

Correct answer: 2. Pulmonary edema

Explanation: Pulmonary oedema is usually caused by a heart condition. Other causes include pneumonia, exposure to certain toxins and drugs, and being at high elevations.
Depending on the cause, pulmonary oedema symptoms may appear suddenly or develop over time. Mild to extreme breathing difficulty can occur. Cough, chest pain and fatigue are other symptoms.
Treatment generally includes supplemental oxygen and medication.